The most unlikely feature Iof HCC is
1. Hepatomegaly
2. Raised AFP levels
3. Raised alkaline phosphatase
4. Jaundice

Correct answer: 4. Jaundice

Explanation: Clinical features of HCC Most common symptom is abdominal pain >weight Significant weight loss : <5% in 1 month or 10% in 6 months or 20% in 1 year Usually presents at late stage, symptoms at advanced stage are vague Non-specific symptoms( anorexia, weight loss) and hepatomegaly Paraneoplastic syndromes in HCC - Hypercholestrolemia( most common), hypoglycemia, erythrocytosis, hypercalcemia Vascular bruit (25%), GI bleed (10%), tumor rupture (2-5%), jaundice due to biliary obstruction (10%), Paraneoplastic syndromes (<5%) Ref: Sabiston 20th edition Pgno :1458-1463